Soiling index determines:
1. Contraception failure
2. Air pollution
3. Number of hookworm eggs
4. Ratio of mucus secreting glands to thickness of wall of airways

Correct answer: 2. Air pollution

Explanation: Ans: B i.e. Air pollution Indices and their significance Pearl index, used for measuring contraceptive efficacy, is defined as the number of 'failures per 100 woman-years of exposure (HWY)," Smoke/ soiling index is used for monitoring air pollution Chandler worked out an index on the basis of average number of hookworm eggs per gram of faeces for the entire community, known as Chandlers index Reids index is defined as ratio between the thickness of the submucosal mucus secreting glands and the thickness between the epithelium and cartilage that covers the bronchi.